Calf compartment pressure rise to _________ on walking:
1. 20-30 mmHg
2. 60-80 mmHg
3. 80-100 mmHg
4. 200-300 mmHg

Correct answer: 4. 200-300 mmHg

Explanation: On standing, the arterial blood pressure at the ankle rises by 80-100 mmHg. The pressure within the calf-compartment rises to 200-300 mmHg during walking, which is more than enough to propel the blood in the direction of heart. Ref: Bailey 27th edition Pgno: 971